Which of the following is NOT a form of cannabis:
1. Bhang
2. Charas
3. Cocaine
4. Ganja

Correct answer: 3. Cocaine

Explanation: Ans. (c) CocaineRef: The Essentials ofFSM by K.S. Narayan Reddy 31sted. / 562-63* Cannabis and its products contain (-) D-9TetraHydroCoannabinol (D9-THC).* It is obtained from Indian hemp plant known as cannabis Sativa.* Different parts of this plants give different products:# Dried leaves: Bhang# Dried female inflorescence: Ganja# Resinous extract of stem: Charas /Hashish# Marijuana/Marihuana: other name for cannabis* In case of cannabis abuse there is an episode of acute violent behavior for which the person claims amnesia. This is known as Run Amok.Also KnowCommonly abused substances and their characteristic clinical featureSubstanceCharacteristic clinical featureCocaineMagnus symptoms (cocaine bugs or Tactile hallucination)Black tongue and teethCannabis* Run Amok* Amotivation syndrome* Flash backsAlcohol* Mc- Evan's sign* Morbid jealousy LSD* Bad Trips* Flash backs Ampheta- mineParanoid hallucinatory syndrome (like paranoid schizophrenia)Phencyclidine {Angel dust)Dissociative anesthesia